M.C. nerve used for monitoring during anaesthesia
1. Ulnar nerve
2. Facial nerve
3. Radial nerve
4. Median nerve

Correct answer: 1. Ulnar nerve

Explanation: Ans. is 'a' i.e. Ulnar nerve Most common nerve used for monitoring during anaesthesia is ulnar nerve.Ulnar nerve supplies adductor pollicis, and this muscle is most commonly observed during perioperative period.Adductor pollicis muscle is monitored for neuromuscular blockade. If adductor pollicis is showing no activity it means laryngeal muscles have already been blocked and intubation can be performed. At the reversal, if there is activity in adductor pollicis it means that diaphragmatic activity has already returned and the patient will be able to maintain tidal volume even after extubation.Also knowThe muscle to show earliest reversal is orbicularis oculi, supplied by the facial nerve.Common peroneal nerve can also be used for monitoring.